Racoon eye is a feature of
1. Lefort1
2. Lefort2
3. Lefort3.
4. Both B& C.

Correct answer: 4. Both B& C.